A 40 years old male had undergone splenectomy 20 years ago. Peripheral blood smear examination would show the presence of:
1. Dohle bodies
2. Hypersegmented neutrophils
3. Spherocytes
4. Howell-Jolly bodies

Correct answer: 4. Howell-Jolly bodies

Explanation: Howell-Jolly bodies are spherical or ovoid eccentrically located granules in stroma of erythrocytes in stained preparations. These represent nuclear remnants and these occur most frequently after: 1. Splenectomy 2. Megaloblastic anemia 3. Severe hemolytic anemia